Preferred drug for alcohol withdrawal seizures is:
1. Diazepam
2. valproate
3. Phenobarbitone
4. Carbamazepine

Correct answer: 1. Diazepam

Explanation: Benzodiazepines (Chlordiazepoxide,diazepam) are the preferred drugs due to long duration of action and can be gradually withdrawn later. Ref KD Tripati 8th ed.